"Strictly Aerobic" organism is:
1. Staphylococci
2. Streptococci
3. Pseudomonas
4. E. coli

Correct answer: 3. Pseudomonas

Explanation: Pseudomonas